Will is being assessed by Nurse Lucas for possible intussusception; which of the following would be least likely to provide valuable information?
1. Abdominal palpation
2. Pain pattern
3. Family history
4. Stool inspection

Correct answer: 3. Family history

Explanation: Option C: Because intussusception is not believed to have a familial tendency, obtaining a family history would provide the least amount of information.
Options A, B, & D: Stool inspection, pain pattern, and abdominal palpation would reveal possible indicators of intussusception. “Currant jelly” stools, containing blood and mucus, are an indication of intussusception. Acute, episodic abdominal pain is characteristic of intussusception. A sausage-shaped mass may be palpated in the right upper quadrant.